Sweat glands of palm can be defferentiated from others by the following :
1. Apocrine glands
2. High chloride content
3. Secretion stumulated by emotional stimuli
4. Chemical mediators mediators control control the sectetion.

Correct answer: 3. Secretion stumulated by emotional stimuli

Explanation: C i.e. Secretion stimulated by emotional stimuli